The major intestinal pathogens which are non-Lactose fermenters are:
1. Salmonella
2. Klebsiella
3. Escherichia
4. Paracolons

Correct answer: 1. Salmonella